O2 delivery to tissue is decreased by
1. Decreased haemoglobin level
2. Increased haemoglobin level
3. Increased PaCO2
4. Increased HCO3

Correct answer: 1. Decreased haemoglobin level